A sudden increase in total peripheral resistance has all of the following effect except:
1. Increase the diastolic blood pressure
2. Reduce the stroke volume
3. Increase the mean arterial blood pressure
4. Increase cardiac output

Correct answer: 4. Increase cardiac output

Explanation: An increase in total peripheral resistance leads to an increase in mean arterial blood pressure (Mean arterial blood pressure = Cardiac output x Total peripheral resistance). Mean arterial blood pressure is a good measure of afterload, which is a measure of the force the heart must develop during ejection. An increase in total peripheral resistance therefore increases afterload. A sudden increase in total peripheral resistance momentarily reduces stroke volume and, therefore, cardiac output. The reduced ejection leads to an increase in end-systolic volume and a subsequent increase in end-diastolic volume. In the long term, stroke volume is maintained because the left ventricle now develops a greater force of contraction (ventricular systolic pressure increases) and cardiac output returns to normal.